During maintenance of a general inhaled anaesthetic for urgent non-obstetric surgery, one would expect this difference in the pregnant patient versus a non-pregnant patient
1. Minimal change in depth of anaesthesia
2. Slower emergence from anaesthesia
3. Faster induction of anaesthesia
4. There is no difference

Correct answer: 3. Faster induction of anaesthesia

Explanation: In pregnancy, FRC of lungs is decreased and minute ventilation is increased, which results in increase in rate of change of alveolar concentration of inhaled anaesthetic. This increases speed of induction.